CD 95 is a marker of
1. Intrinsic pathway of apoptosis
2. Extrinsic pathway of apoptosis
3. Necrosis of cell
4. Cellular adaptation

Correct answer: 2. Extrinsic pathway of apoptosis